Diameter of the macula lutea is:
1. 1.5 mm
2. 3.5 mm
3. 4.5 mm
4. 5.5 mm

Correct answer: 4. 5.5 mm

Explanation: Ans. 5.5 mm